Which of the following is a Diploid cell Line?
1. HeLa
2. Hep2
3. Chick embryo cell line
4. WI - 38

Correct answer: 4. WI - 38

Explanation: Primary cell Line - Chick embryo cell line, Rhesus monkey kidney cell line.
Diploid cell Line - Human fibroblast cell line or WI - 38
Continuous cell line - HeLa, Hep2, BHK, Mcoy.